Goal of reduction in morbidity and mortality due to malaria by 2010 is
1. 25% reduction
2. 100% reduction
3. 75% reduction
4. 50% reduction

Correct answer: 4. 50% reduction